What is the use of bezlotoxumab?
1. I
2. UTI
3. Cl difficale
4. Chickenpox

Correct answer: 3. Cl difficale

Explanation: bezlotocumab is a human Monoclonal antibody used in the treatment to prevemt tht recurrence of clostridium difficale infections. It acts by binding to Fab regions of the antibody and neutralises the toxin B.